First change observed in distal part, of a cut nerve is
1. Axonal degeneration
2. Sprouting
3. Myelin degeneration
4. Schwann cells proliferation

Correct answer: 1. Axonal degeneration

Explanation: Ans. (a) Axonal degeneration(Ref: Ganong, 25th ed/p.89)Axonal degeneration is the earliest to occur followed by degeneration of myelin sheathMacrophages and Schwann cell clear the debris following degenerationThe neurolemma of the nerve fiber doesn't degenerate and remains as a hollow tube